Appearance of characteristic “burr cells”,  “helmet cells” and “triangle cells” in peripheral blood smears is indicative of:
1. Polychromasia
2. Anisocytosis
3. Poikilocytosis
4. Schistocytosis

Correct answer: 4. Schistocytosis

Explanation: Mechanical fragmentation of red cells (schistocytosis) leads to the appearance of characteristic “burr cells”, “helmet cells” and “triangle cells” in peripheral blood smears.